Masseteric nerve is a branch of:
1. Long buccal nerve
2. Mandibular division of trigeminal nerve
3. Maxillary division of the trigeminal nerve
4. Motor branch of the facial nerve

Correct answer: 2. Mandibular division of trigeminal nerve